Severe Acute Malnutrition is defined as
1. Weight / Height < - 2SD
2. Mid - Upper arm circumference < 12.5 cm
3. Presence of bipedal edema
4. Weight / age < - 3SD

Correct answer: 3. Presence of bipedal edema

Explanation: Severe acute malnutition in children of 6 months - 5 year is defined as 
a) Weight / Height < - 3SD
b) Mid - upper arm circumference < 11.5 cm
c) Presence of bipedal edema